Live part of hydatid cyst
1. Pericyst
2. Ectocyst
3. Endocyst
4. None of the above

Correct answer: 3. Endocyst

Explanation: Endocyst is Live part of hydatid cyst.